Which of the following is true about cementum
1. It forms a part of periodontium and is avascular.
2. Its function is to attach tooth to PDL.
3. It provides anchorage to the tooth.
4. All of the above

Correct answer: 4. All of the above